A codon consists of:
1. One molecule of aminoacyl-tRNA
2. Two complementary base pairs
3. Three consecutive nucleotide units
4. Four individual nucleotides

Correct answer: 3. Three consecutive nucleotide units

Explanation: Ans. C. Three consecutive nucleotide units(Ref: Harper 31/e page 399)Each codon consists of a sequence of three nucleotides, i.e. it is a triplet code.